The X-ray appearance of a CBD stone on cholangiography is:
1. Meniscus appearance
2. Eccentric occlusion
3. Sudden cut off
4. Smooth tapering

Correct answer: 1. Meniscus appearance

Explanation: Ans. Meniscus appearance